Which is NOT a component of Werner's -
1. Pituitary
2. Adrenal
3. Parathyroid
4. Pancreas

Correct answer: 2. Adrenal

Explanation: Ans. is 'b' i.e., Adrenals MEN I or Wermer's syndrome is characterized by abnormalities involving the parathyroid, Pancreas & Pituitary glands (3Ps) Parathyroid Primary hyperparathyroidism is the most common manifestation of MEN I Pituitary The mast common type of anterior pituitary tumor in MEN lis Prolactinoma Pancreas Includes Islet cell tumors